HLA-DR4 is a marker of -
1. Rheumatoid arthritis
2. Sarcoidosis
3. Sero-negative gouty arthritis
4. Psoriasis

Correct answer: 1. Rheumatoid arthritis

Explanation: Ans. is 'a' i.e., Rheumatoid arthritis DR4 is associated witho Extra-articular rheumatoid arthritiso Hydralazine-induced femal systemic lupus erythematosuso Pemphigoid gestationaliso Pemphigus foliaceuso Obstructive hypertrophic cardiomyopathyo IgA nephropathy